About parvovirus B19 all are true except:
1. Spread by respiratory route
2. Has affinity for erythrocyte progenitor cells
3. Causes transient aplastic crisis
4. Transplacental transfer occurs in only 10% of cases

Correct answer: 4. Transplacental transfer occurs in only 10% of cases

Explanation: Ans. (d) i.e. Transplacental transfer occurs in only 10% of cases. Member of genus erythrovirus, exclusively infects humans Transmission occurs predominantly respiratory route, transfusion related transmission also seen. Pathogenesis - B19 replicates primarily in erythroid progenitors. This specifically is due to limited tissue distribution of B19 receptor, blood groups antigen (globoside). Resulting in transient aplastic crisis. Other cells bearing B-19 receptor include megakaryocytes, endothelial cells, placenta, myocardium and liver. Transplacental infection is seen in 30% and the risk of fetal loss is 9%. Risk of congenital infection is < 1%.